Following are true of Gram negative bacterial cell wall compared to Gram positive bacteria except:
1. Presence of lipopolysaccharide
2. Presence of Teichoic acid
3. Presence of Sulphur containing amino acids
4. Thinner

Correct answer: 2. Presence of Teichoic acid

Explanation: Characteristic Gram-Positive Gram-Negative Gram Reaction Retain crystal violet dye and stain blue or purple Can be decolorized to accept counterstain (safranin) and stain pink or red Peptidoglycan Layer Thick (multilayered) Thin (single-layered) Teichoic Acids Present in many Absent Periplasmic Space Absent Present Outer Membrane Absent Present Lipopolysaccharide (LPS) content Virtually none High Lipid and Lipoprotein content Low (acid-fast bacteria have lipids linked to peptidoglycan) High (because of presence of outer membrane) Flagellar structure 2 rings in basal body 4 rings in basal body Toxins produced Exotoxins Endotoxins and exotoxins Resistance to Physical Disruption High Low Call wall Disruption by Lysozyme High Low (requires pretreatment to destabilize outer membrane) Susceptibility to Penicillin and Sulfonamide High Low Susceptibility to Streptomycin, Chloramphenicol and Tetracycline Low High Inhibition by Basic Dyes High Low Susceptibility to Anionic Detergents High Low Resistance to Sodium Azide High Low Resistance to Drying High Low